Deep venous system of brain consists of -a) Internal cerebral veinb) Great cerebral veinc) Basal veinsd) Cavernous sinus
1. abc
2. bc
3. acd
4. bcd

Correct answer: 1. abc

Explanation: Deep veins of the cerebral hemispheres

Internal cerebral veins (two)
Basal veins (two)
Great cerebral vein of GalenQ